Which among the following is the drug of choice in Mycoplasma infection?
1. Doxycycline
2. Penicillin
3. Ceftriaxone
4. Cotrimoxazole

Correct answer: 1. Doxycycline

Explanation: For mycoplasma tetracyclines are the drugs of choice (doxycycline 100 mg 2 times a day for 10 to 14 days). Erythromycin, Azithromycin and Fluroquinolones can also be used. Tetracyclines are contraindicated in pregnancy, therefore erythromycin or spiramycin can be used.